Not a cause of upper GIT bleeding
1. Meckel's diverticulum
2. Mallory Weiss Syndrome
3. Gastric antral vascular ectasia
4. Portal hypertension

Correct answer: 1. Meckel's diverticulum

Explanation: Meckel's diverticulum - Found in Ileum distal to ligament of Treitz( Cause of lower GI BLEED) Location of Ligament of Treitz is Duodenojejunal flexure